Lisfranc Fracture is -
1. Fracture dislocation at the tarsometatarsal joint
2. Intertarsal dislocation
3. Avulsion of calcaneal tuberosity
4. Fracture neck of talus

Correct answer: 1. Fracture dislocation at the tarsometatarsal joint

Explanation: Ans. is 'a' i.e., Fracture dislocation at the tarsometatarsal joint Fractures of the lower limbNameFractureJones FractureAvlsion fracture at the base of 5th metatarsalStraddle fractureBilateral superior and inferior pubic rami fractures of the pelvis.Malagaigne's fractureA fracture of pelvis having a combination of ipsilateral fracture of pubic rami anteriorly and sacro-iliac joint disruption posteriorly.Lisfranc's fracture-dislocationA fracture dislocation through tarso-metatarsal joints.Aviator's fractureFracture of neck of the talusCotton's fractureTrimalleolar ankle fractureBumper fractureComminuted, depressed fracture of the lateral tibial condyleMarch fractureFatigue fracture of the shaft of 2nd and 3rd metatarsal